Thickening of ventricular walls is due to
1. Metaplasia
2. Anaplasia
3. Hypertrophy
4. Hyperplasia

Correct answer: 3. Hypertrophy